Which of the following types of OCD, responds poorly to Exposure and response prevention (ERP), and has poor prognosis-
1. Contamination
2. Pathological doubts
3. Hoarding disorder
4. Magical thinking

Correct answer: 3. Hoarding disorder

Explanation: Hoarding disorder. Consistent evidence is emerging to suggest that patients who present with primarily hoarding symptoms respond less well to ERP than do patients with other presentation of OCD. In Hoarding behavior patient has a habit of keeping things with themselves and are not able to discard them. Magical thinking- This is a common symptom of OCD in which person believes that just because they thought about an event, it will occur in reality.